All are actions of cortisol on the skin and connective tissue except
1. Antiproliferative for fibroblasts
2. Antiproliferative for keratinocytes
3. Loss of collagen
4. Hyperpigmentation

Correct answer: 4. Hyperpigmentation

Explanation: It is antiproliferative for fibroblasts and keratinocytes. Glucocorticoids in excess inhibit fibroblasts, lead to loss of collagen and connective tissue, and thus result in thinning of the skin, easy bruising, stria formation, and poor wound healing. Hyperpigmentation is a direct effect of ACTH on melanocortin 1 receptors.